False about Flexible bronchoscopy:
1. No need of general anesthesia
2. Can be done bedside
3. Removal of foreign bodies is easier than with rigid bronchoscopy
4. Better visualisation of distal airway

Correct answer: 3. Removal of foreign bodies is easier than with rigid bronchoscopy

Explanation: Removal of foreign bodies is easier with rigid bronchoscope because of wide Lumen.



Rigid bronchoscopy
Flexible bronchoscopy




Done in operation theatre




Can be done bedside






Requires general anesthesia




Can be done under






Better visualisation of proximal airway




Better visualization of distal airway






Preferred for Therapeutic interventions like foreign body removal & electrocautery because of wide lumen




Limited Therapeutic interventions